Transpyloric plane separates
1. Hypogastrium from lumbar region
2. Hypochondrium from lumbar region
3. Iliac fossa from lumbar region
4. Umbilical region from lumbar region

Correct answer: 2. Hypochondrium from lumbar region

Explanation: Transpyloric plane cuts through the pylorus of the stomach, the tips of the ninth costal cartilages and the lower border of the first lumbar vertebra. Seperates hypochondrial and lumbar regions BD chaurasias Anatomy sixth edition Volume 2 Page no 197